Which one of the following is categorised as a high risk pregnancy ?
1. Birth order 3
2. Maternal height 150 cm
3. Twins pregnancy
4. Blood group AB +ve

Correct answer: 3. Twins pregnancy

Explanation: Ans. is 'c' i.e., Twins pregnancy